Synovial fluid - all are true except :
1. Secreted by Type A cells
2. Follows non newtonian fluid kinetics
3. Contains hyaluronic acid
4. Viscosity is variable

Correct answer: 1. Secreted by Type A cells

Explanation: Secreted by Type A cells [Ref: Turek's Orthopaedics 6/e, p 152; Gray's 40/e, p 100; Biofluid Mechanics by Jagannath Mazumdar 2004; p 79-83. Type A synovial cells are macrophage-like cells. They synthesize and release lyric enzymes and phagocytose joint debris. These cells are not considered to secrete synovial fluid. Synovial fluid: Is a plasma transudate from synovial capillaires + hyaluronic acid- protein complex (mucin) secreted by Type B synovial cells + cells (60-100 cells/ml; mainly lymphocytes and monocytes) The viscous and lubricating property of the synovial fluid is attributed to hyaluronic acid. Synovial membrane has two types of cells? Type A cells Type B Cells * Less in number * Predominant cells * Macrophage like * Fibroblast like * Synthesize & release lytic * Synthesize & secrete hyaluronic acid enzymes & glycoproteins of synovial fluid * Phagocytose joint debris * Have abundant rough ER * Have a prominent Golgi apparatus and little rough ER Synovial fluid is a Non-newtonian, thixotropic fluid A Newtonian fluid is one which follows the Newtonian (friction) law i.e. its viscosity remains constant with agitation or varying shear rate (viscosity is only affected by temperature changes). Examples of Newtonian fluid are: water, oils, gases, mercury, alcohol etc. A Non-Newtonian fluid is one that does not follow the Newtonian (friction) law. Its viscosity changes with agitation or varying shear rate. A Non-Newtonian fluid can be Thixotropic or Rheopectic. Thixotropic is one whose viscosity decreases with agitation or varying shear rate. (Thus thixotropic fluid are thick (viscous) under normal conditions, but become thin, less viscous over time when shaken, agitated, or otherwise stressed.) Eg. Synovial fluid, ketchup. Rheopectic is one whose viscosity increases with agitation or varying shear rate. Eg. gypsum pastes, printers inks, and some lubricants. Synovial fluid has thixotropic properties. Its viscosity decreases with increase in the rate of movement, thus it is able to provide better lubrication to the joints.